Injection laryngoplasty uses:
1. Fat
2. Gelfoam
3. Calcium hydroxyapatite
4. All of the above

Correct answer: 4. All of the above

Explanation: Injection laryngoplasty uses calcium hydroxylapatite, absorbable gelatin paste (ie, Gelfoam paste), Bioplastique, or fat. The substance is injected laterally into the vocal fold to displace it medially. The use of calcium hydroxylapatite in this context is a recent development and appears to generate minimal tissue reaction and produce a long-lasting result.